In pregnancy all occurs except:
1. Increased cardiac output
2. Decreased blood volume
3. Increased MCV
4. Increased glomerular flow

Correct answer: 2. Decreased blood volume

Explanation: Decreased blood volume